Preformed mediator of inflammation is
1. Serotonin
2. Prostaglandin
3. Dopamine
4. Leukotrienes

Correct answer: 1. Serotonin

Explanation: Chemical mediators of inflammation Cellular mediatorsPreformed mediators in secretory granulesNewly synthesizedHistamineSerotonin Lysosomal enzymes ProstaglandinsLeukotrienesPlatelet-activating factorActivated oxygen species Nitric oxide Cytokines Plasma mediatorsFactor XII activationComplement activationKinin system Coagulation / fibrinolysis system C3aC5aC3bC5b - 9 (Refer: Robbins & Cotran's - Pathologic Basis of Disease, SAE, 1st edition, Vol I-pg no: 82-85)